Common symptoms of panic attacks include the all of following except?
1. Fear of dying
2. Fear of losing control
3. Fear of going crazy
4. Suicidal thoughts

Correct answer: 4. Suicidal thoughts

Explanation: Suicidal thought is not common symptom of panic attack. Patient has a feeling of impeding doom. There is feeling of going crazy , losing control and dying.